68-years-old man weighing 60 kg has plasma creatinine 3mg/dL. What will be creatinine clearance?
1. 10
2. 20
3. 30
4. 40

Correct answer: 2. 20

Explanation: By Cockcroft & Gault formula Factors influencing 1. Body wt. - Assumed to be d/o muscle mass - Muscle - creatine - creatinine 2. Age - with advancing age, number of functional nephrons decrease Cockcroft & gault formula unreliable in: - 1. Obesity 2. Pregnancy